Large axons are concerned with
1. Proprioception
2. Somatic motor function
3. Conscious touch and pressure
4. All of the above

Correct answer: 4. All of the above